A patient came to the casualty with acute attack of asthma after starting treatment of glaucoma. The causative drug is
1. Timolol
2. Betaxolol
3. Clonidine
4. Acetazolamide

Correct answer: 1. Timolol

Explanation: Ans. (a) Timolol(Ref: Kanski 7/e, p. 383; Katzung 12/e, p. 158)Timolol is a non-selective beta blocker and thus acts on Beta 2 receptors also, leading to broncospasm and exacerbation of asthmaBetaxolol is a cardioselective (beta 1 blocker) and thus is free from this side effect